Overweight BMI ?
1. 25 to 29.99
2. 15-18
3. 18-20
4. None

Correct answer: 1. 25 to 29.99

Explanation: Ans. is 'a' i.e., 25 - 29.99 Classification of adults according to BMIClassificationBMIRisk of comorbiditiesUnderweight<18.50Low (but risk of other clinical problems increased)Normal range18.50-24.99AverageOverweight:>25.00 Pre-obese25.00-29.99IncreasedObese class I30.00-34.99ModerateObese class II35.00-39.99SevereObese class III>40.00Very severe